True about Ramsay-hunt syndrome except -
1. Involves VII nerve
2. May involves VIII nerve
3. Surgical removal gives excellent prognosis
4. Causative agent is virus

Correct answer: 3. Surgical removal gives excellent prognosis

Explanation: Surgical decompression is not recommended in Ramsay Hunt's syndrome